Candida is most often implicated in causation -(
1. Conjunctivitis
2. Tinea capitis
3. Desert rheumatism
4. Thrush

Correct answer: 4. Thrush

Explanation: Ans. is 'd' i.e., Thrush